Sarcoidosis is associated with -
1. Band keratopathy
2. Systemic amylodosis
3. Angioid streaks
4. Cataracts nigra

Correct answer: 1. Band keratopathy

Explanation: This is a commom condition in chronic uveitis,especially in blind shrunken eyes and in children suffering from Still disease. Occasionally it is associated with hyperparathyroidism,vitamin D poisoning or sarcoidosis. REF:Parsons' disease of eye,20th edition,pgno.201.